In TRIAGE system for disaster management, which of the following color code denotes "high priority treatment and/or transfer"?
1. Red
2. Blue
3. Black
4. Yellow

Correct answer: 1. Red

Explanation: Ans. a (Red) (Ref. Text book of PSM by Park 22nd/ 701)TRIAGE SYSTEM# Triage system is followed to decrease burden on health system in case of disaster.# By applying triage system the serious patient who is in need of treatment will get treatment early as compared to ambulatory patients.Colour coding is used to differentiate the patients as per their severity and need for treatment.- Red: high priority treatment and/or transfer- Yellow: medium priority- Green: ambulatory patients- Black: Dead or moribund patientsAnother details found on net - style="font-size: 1.04761904761905em; font-family: Times New Roman, Times, serif; margin: 0 0 0 8px; text-indent: 0">Red tags - (immediate) are used to label those who cannot survive without immediate treatment but who have a chance of survival.Yellow tags-- (observation) for those who require observation (and possible later re-triage). Their condition is stable for the moment and, they are not in immediate danger of death. These victims will still need hospital care and would be treated immediately under normal circumstances.Green tags - (wait) are reserved for the "walking wounded" who will need medical care at some point, after more critical injuries have been treated.White tags - (dismiss) are given to those with minor injuries for whom a doctor's care is not required.Black tags - (expectant) are used for the deceased and for those whose injuries are so extensive that they will not be able to survive given the care that is available.Another reference: style="font-size: 1.04761904761905em; font-family: Times New Roman, Times, serif; margin: 0 0 0 8px; text-indent: 0">Four (4) tabs are colour coded for expedient identification of priority:1. IMMEDIATE (Red): Highest priority2. DELAYED (Yellow): Second priority3. MINOR (Green): Third priority4. DEAD/DYING (Black): Lowest priorityCasualties are sorted into four (4) categories:1. Immediate (RED): Those who have serious injuries or medical problems (salvageable life threatening problems, taking into account the resources available);a. Airway and breathing difficulties which can be readily alleviated with head tilt and OPA insertionb. Gross bleeding controlled by direct pressure2. Delayed (YELLOW): Those for whom treatment and transportation can be delayed while more seriously injured persons receive care.3. Minor (GREEN): Those patients who can ambulate to an alternative location without assistance.4. Dead/Dying (BLACK): Those patients who do not resume spontaneous breathing after positioning of the head and insertion of an OPA, and have no spontaneous pulse. These patients should be retriaged, as resources become available.